Telmisartan lowers blood pressure by:
1. Inhibiting formation of angiotensin I to angiotensin II
2. Inhibiting conversion of renin to angiotensin I
3. Blocking AT1 receptors
4. Interfering with degradation of bradykinin

Correct answer: 3. Blocking AT1 receptors